Case series report is a type of ?
1. Analytic study
2. Experimental study
3. Observational study
4. Intervention study

Correct answer: 3. Observational study

Explanation: Ans. is 'c' i.e., Observational study A) Observational studiesDescriptive studies : Case reports, case series.Analytic studies : Case-control (case-reference), Cohort (follow-up), Ecological (correlational), Cross-sectional.B) Experimental/intervention studiesRandomized controlled trials/clinical trials.Community trials.Field trials. Animal studies.